Which of the following is used to treat severe pulmonary hypertension ?
1. Angiotensin I
2. Omapatrilat
3. Bosentan
4. Endothelin

Correct answer: 3. Bosentan